Which of the following drug decreases plasma renin activity ?
1. Enalapril
2. Nifedipine
3. Hydralazine
4. Clonidine

Correct answer: 4. Clonidine